Legionnaire disease is caused by-
1. Motile gram positive
2. Motile gram negative
3. Non-motile gram positive
4. Non-motile gram negative

Correct answer: 2. Motile gram negative